All of the following are composite muscles, except?
1. Flexor carpi Ulnaris
2. Flexor digitorum Profundus
3. Pectineus
4. Biceps Femoris

Correct answer: 1. Flexor carpi Ulnaris

Explanation: Flexor carpi ulnaris receives a single innervation and is not classified as a Composite or Hybrid muscle.